Macula lies from disc at a distance of:
1. 1 mm
2. 2 mm
3. 3 mm
4. 4 mm

Correct answer: 3. 3 mm

Explanation: The macula lies 2 disc diameters(3mm) to the temporal side of the disc.The central 1.5mm of the macula is termed the fovea. Ref : Parsons' Diseases of the Eye By Ramanjit Sihota & Radhika Tandon 302